Through a peripheral line, max % of dextrose that can be given is?
1. 10%
2. 12.50%
3. 15%
4. 25%

Correct answer: 2. 12.50%

Explanation: Through a peripheral line, max % of dextrose that can be given is 12.5%. If a higher concentration of Dextrose needs to be given central vascular access is required. If more than 12.5% sugar is given through peripheral line then it can lead to superficial thrombophlebitis.